All the following are related to legal responsibility of an insane person except-
1. Mc Naughten's rule
2. Durham's rule
3. Curren's rule
4. Rule of nine

Correct answer: 4. Rule of nine

Explanation: Criminal responsibility of insane is judged by following piles : (i) MC Naughten rule (legal test, right or wrong test), (ii) doctrine of partial responsibility, (iii) Durham rule, (iv) Currens rule, (v) American law institute test, and (vi) Norwegian system.